Amino acid which is both glucogenic and ketogenic
1. Leucine
2. Alanine
3. Serine
4. Tryptophan

Correct answer: 4. Tryptophan

Explanation: During metabolism part of the carbon skeleton of tryptophan enter the ketogenic pathway and other parts to glucogenic pathway. Leucine is purely ketogenic. It is converted to ketone bodies. remaining amino acid enter only into glucogenic pathwayRef: DM Vasudevan - Textbook of Biochemistry for Medical Students, 7th edition, page no: 27